Which one of the following branches of Sociology studies the relationship between organism and environment-
1. Ergonomics
2. Social physiology
3. Ecology
4. Social pathology

Correct answer: 3. Ecology

Explanation: Ans. is 'c' i.e., Ecology Ecology is defined as the science of mutual relationship between living organisms and their environments.